Drug of choice for the treatment of type 2 Brittle Asthma is?
1. b-adrenergic agonist
2. Inhaled corticosteroids
3. Antileukotrines DM
4. Subcutaneous epinephrine

Correct answer: 4. Subcutaneous epinephrine

Explanation: Type 2 Brittle asthma, are symptom-free patients developing sudden onset acute attack of asthma requiring mechanical ventilation or even death. These patients should ideally keep an auto-injector of epinephrine. Type 1 Brittle asthma is characterized by >40% variation in P.E.F.R for >50% of the time. It is managed with L.A.B.A + high dose inhaled corticosteroids and oral steroids. Long-term continuous subcutaneous infusion of P2 agonists like terbutaline is also given.